Condyloma accuminata in pregnancy is treated by
1. Podophyllin
2. Podophyllin toxin
3. Trichloroacetic acid
4. 5-FU cream

Correct answer: 3. Trichloroacetic acid

Explanation: Treatment of condyloma -acuminata - (verruca-genital is) Podophyllum is effective only on the genital was Podophyllum is potentially toxic and must be avoided in during pregnancy Chemical cauterization is usually done with liquified phenol or concentrated trichloroacetic acid Ref: KD Tripathi 8th ed/